Which of these is not an antigen presenting cell?
1. Bipolar cell
2. Dendritic cell
3. Follicular Dendritic cell
4. Tissue macrophages

Correct answer: 1. Bipolar cell

Explanation: Ans. (a) Bipolar cellsRef: Robbiris pathology 9th ed. /191-192: Pocket companion to Robbin 'spathology 8th edition /119T cells cannot be activated by soluble antigens. Therefore presentation of processed antigen by antigen presenting cells is required for activation of T cells.Important Antigen Presenting Cells are* Macrophage* B cells* Dendritic cells (most potent APCs)* Langerhans cellsBipolar cell is a type of neuron which has two extensions. Bipolar cells are specialized sensory neurons for the transmission of special senses. As such, they are part of the sensory pathways for smell, sight, taste, hearing and vestibular functions.